Which is the true statement regarding megaloblasitc anemia-
1. Megaloblastic precursors are present in bone marrow
2. Mean corpuscular volume is increased
3. Serum LDH is increased
4. All

Correct answer: 4. All

Explanation: Ans. is 'a' i.e., Megaloblastic precursors are present in bone marrow; 'b' i.e., Mean corpuscular volume is increased; 'c' i.e., Serum LDH is increased Option a & b have been explained already. o Serum LDH is increased in megaloblastic anemia because of the following two processes that occur in megaloblastic anemia. 1. Ineffective erythropoiesis o There is replication of erythroid precursor in the bone marrow, but they die before maturation. So there is no functional release of red cells into circulation. 2. Hemolysis In megaloblastic anemia there is hemolytic destruction of red cells in periphery. The basis for hemolysis is not entirely clear. Due to destruction of RBCs by ineffective erythropoiesis and peripheral hemolysis, findings of hemolytic anemia may also occur in megaloblastic anemia, i..e, - T LDH, Reduced heptoglobin, Positive urine hemosiderin, Raised urine urobilinogen